The following is used for testing absorption in intestine-
1. Xylose
2. Sucrose
3. Fructose
4. Maltose

Correct answer: 1. Xylose

Explanation: Ans. is 'a' i.e.. Xylose D-xylose test : Xylose absorption test is the most commonly employed test for carbohydrateQ absorption.D - Xylose TestAim :o Assessment ofproximal small intestinal mucosal function6.Principle :o D - Xylose is a carbohydrate absorbed almost exclusively in the small intestineQ.o It does not require pancreatic enzymes for its digestion. So. if there is any decrease in its level in urine. It indicates abnormalityQ in carbohydrate absorption in proximal intestine.Procedure:o 25g of D - xylose is given to the patient, then urine is collected after 5 hours Xylose le\>el is measured in the urine.Result:o Presence of D- xylose less than 4.5g reflects the presence of duodenal jejunal mucosal disease.Clinical implication of D - Xylose TestUrine D - Xylose is decreased inD - Xylose Test is normal in the following conditionso Intestinal malabsorptionQo Impaired renal functionQo Small bowel ischemiaQo Whipple s diseaseo Viral gastroenteritiso Bacterial overgrowthQ in small intestineo Malabsorption due to pancreatic insufficiencyQo Post gastrectomyQo Malnutrition